All of the following cause a grey white membrane on the tonsil, except:
1. Infectious mononucleosis
2. Ludwig's angina
3. Streptococcal tonsillitis
4. Diphtheria

Correct answer: 2. Ludwig's angina

Explanation: (b) Ludwig's angina(Ref. Scott Brown, 8th ed., Vol 3; 550)Ludwig's angina is cellulitis of the sub-mandibular space.The rest of the options can cause membrane over tonsils.